Which of the following shapes of the palatal vault is most favourable for lateral stability?
1. V shape
2. U shape
3. Flat
4. (B) & (C)

Correct answer: 2. U shape